Section 53 CrPC deals with -
1. Kidnapping
2. An accused can be examined by a medical practitioner at the request of police, even without his consent or by force
3. Torture
4. Perjury

Correct answer: 2. An accused can be examined by a medical practitioner at the request of police, even without his consent or by force

Explanation: Ans. is 'b' i.e., An accused can be examined by a medical practitioner at the request of police, even without his consent or by force o 53 CrPC : An accused can be examined by a medical practitioner at the request of police, even without his consent or by force